Foster Kennedy syndrome is associated with all of the follow ing, except -
1. Ipsilateral Anosmia
2. Contralateral optic atrophy
3. Olfactory' groove meningioma
4. Contralateral papilloedema

Correct answer: 2. Contralateral optic atrophy

Explanation: Ans. is 'b' i.e., Contralateral optic atrophy Foster Kennedy Syndrome||lpsilateral (Direct Compression)Contralateral (Indirect)o Anosmia due to direct compression of the olfactory bulb or tract,o Optic atrophy and central scotoma due to pressure on optic nerve on the side of lesion,o Homolateral optic atrophy (due to direct pressure on optic nerve)o Papilledema due to raised intracranial pressure caused by space occupying lesion (manifests later).o Papilledema in the opposite eye (due to increased intracranial presure)